Serial 7 substraction is used to test ?
1. Working memory
2. Long term memory
3. Mathematical ability
4. Recall power

Correct answer: 1. Working memory

Explanation: Ans. A. Working memorySerial sevens substraction testSerial sevens, counting down from one hundred by sevens, is a clinical test used to test mental function; for example, to help assess mental status after possible head injury or in suspected cases of dementia.This well-known test, in active documented use since at least l944,was adopted as part of the mini-mental state examination.The test is also used in determining when a patient is becoming unconscious under anaesthetic, for example prior to major dental surgery.